Flipcharts are used in
1. Demonstrations
2. Lectures
3. Symposium
4. Workshops

Correct answer: 2. Lectures

Explanation: The lecture method can be made more effective by combining with suitable audio-visual aids such as - Flipcharts, Flannelgraph, Exhibits, Films and charts.Flipcharts are series of charts or posters, flashed or displayed before a group as talk is being given.Park 23e pg: 864